Tendon absent in palm is?
1. Extensor pollicis brevis
2. Flexor digitorun superficialis
3. Flexor digitorum profundus
4. Opponens pollicis

Correct answer: 1. Extensor pollicis brevis

Explanation: Extensor pollicis Brevis originates from the Posterior surface of shaft of radius Inserts to the base of proximal phalanx of the thumb. Reference page no-135 , BD chaurasia , 6th edition- upper limb& thorax